Which is predominant in normal healthyhuman ?
1. LDH 1
2. LDH2
3. LDH 3
4. LDH4

Correct answer: 2. LDH2

Explanation: Ans. is 'b' i.e., LDH2 IsoenzymeSubmit compositionIssuePercentage in serrumLDH IHHHHMyocardium, RBC30LDH2HHHMMyocardium, RBC35LDH3HHMMBrain, Kidney20LDH4HMMMSkeletal muscle, Liver10LDH 5MMMMSkeletal muscle, Liver5